All the following predispose to Carcinoma stomach except ?
1. Menetriers disease
2. Chronic gastritis
3. Gastric polyp
4. Gastric erosion

Correct answer: 4. Gastric erosion

Explanation: Ans. is 'd' i.e., Gastric erosion